Gaucher's disease is caused by deficiency of
1. Ceramidase
2. Be ta galactosidase
3. Beta glucosidase
4. Spingomyelinase

Correct answer: 3. Beta glucosidase

Explanation: Repeated question